Routine Rh typing includes testing?
1. A antigen
2. B antigen
3. C antigen
4. D antigen

Correct answer: 4. D antigen

Explanation: Ans. is 'd' i.e., D antigen o After ABO, the most important antigen in transfusion practice is D. The D antigen is a member of the Rh system.